Cystic diseases of kidney are all except:
1. Medullary sponge kidney
2. Nephrophthisis
3. Horseshoe kidney
4. Glomerulocystic disease

Correct answer: 3. Horseshoe kidney

Explanation: Horseshoe Kidney Fusion of the upper (10%) or lower poles (90%) of the kidneys Continuous across the midline anterior to the great vessels. Congenital renal anomaly not a cystic disease. Cystic lesions of kidney are: Polycystic kidney disease Autosomal dominant (adult) polycystic disease Autosomal recessive (childhood) polycystic disease Medullary cystic disease Medullary sponge kidney Nephronophthisis Glomerulocystic disease Extraparenchymal renal cysts (pyelocalyceal cysts, hilar lymphangitic cysts)